Mc Ewans triangle is located on
1. Mastoid antrum
2. Inner ear
3. Cochlea
4. Saccule

Correct answer: 1. Mastoid antrum

Explanation: MacEwen's triangle is bounded by temporal line,posterosuperior segment of bony external auditory canal and the line drawn as a tangent to the external canal. It is an important landmark to locate the mastoid antrum in mastoid surgery. Reference-Dhingra 6/e,p 6.